Most common site for salivary gland tumors is
1. Submandibular gland
2. Parotid
3. Minor salivary gland
4. Sublingual gland

Correct answer: 2. Parotid

Explanation: The parotid gland is the most common site for salivary tumors. Most commonly seen in the superficial lobe of parotid gland.